Methionine is a limiting amino acid in:
1. Cereals
2. Maize
3. Wheat
4. Pulses

Correct answer: 4. Pulses

Explanation: Ans. (d) PulsesRef: K. Park 23rded. /628* Pulses contain 20-25% of protein, which is considered more than eggs, fish, meat products. However the quality of protein in pulses is inferior to that of meat products.* Soyabean contains 40% of protein* Pulses protein are poor in methionine and to a lesser extent in cysteine.* Amino acid rich in pulses: LysineAlso KnowFOOD PRODUCTS AND THEIR LIMITING AMINO ACIDFood ItemLimiting Amino AcidsPulsesMethionine & CysteineCerealsThreonine & LysineMaizeTryptophan & Lysine